Method of conservative management of placenta previa
1. Brandt andrew method
2. Mcafee and Johnson
3. Lilly's method
4. Crede's method

Correct answer: 2. Mcafee and Johnson

Explanation: Mcafee and Johnson Regimen- It is a regimen used for placenta previa when pregnancy is <34 weeks(lungs are not maturated) and there is not active bleeding. In it, following is done: 1. Resuscitation 2. Steroids for fetal lung maturity 3. Sedation Other options Crede's method is the act of vigourous massaging and squeezing of the fundus to force the separation of the placenta. Lilly's Chart is the plotting of optical density of the amniotic fluid in Rh isoimmunisation. Brandt Andrew method is the technique of delivering the placenta with the "Controlled cord traction" method.